Mucosa covering the Vermilion border of the lip is:
1. Keratinized mucosa.
2. Specialized mucosa.
3. Masticatory mucosa.
4. Lining mucosa.

Correct answer: 1. Keratinized mucosa.